Which of the following topics is principally focused on in cognitive therapy?
1. Unconscious and repressed memories
2. Faulty ideas and beliefs
3. Transference manifestations
4. Dream interpretation

Correct answer: 2. Faulty ideas and beliefs

Explanation: Cognitive behavioral therapy (CBT) is a type of psychotherapeutic treatment that helps patients understand the thoughts and feelings that influence behaviors. CBT is commonly used to treat a wide range of disorders, including phobias, addictions, depression, and anxiety Ref ganong's review of medical physiology 25e p761